Hematosalpinx is seen in :
1. Haematocolpos
2. Torsion of hydrosalpinx
3. Tubal pregnancy
4. All of the above

Correct answer: 4. All of the above

Explanation: All of the above